On republic day, a camp was organized and people were screened for Hypertension by checking BP and for diabetes by checking their BMI and Blood sugar level, which level of prevention is this?
1. Primary
2. Primordial
3. Secondary
4. Tertiary

Correct answer: 3. Secondary

Explanation: The screening for a disease comes under secondary prevention. Secondary prevention is done when disease has already started in the body. It includes doing early diagnosis and treatment. All screening and diagnostic test by default come under Secondary level of prevention. Primary prevention can prevent the disease whereas secondary cannot.